Feather edge finish line is indicated in cases of:
1. Tilted abutment
2. Esthetic areas
3. Upper canine PVC
4. Not recommended

Correct answer: 4. Not recommended